The method of presenting data of geographic distribution is:
1. Histogram
2. Pie chart
3. Frequency polygon
4. Cartogram

Correct answer: 4. Cartogram